All are mesodermal in origin except
1. Dilator pupillae
2. Chroid
3. Iris
4. Ciliary body

Correct answer: 1. Dilator pupillae

Explanation: EMBRYOLOGY OF EYE Surface ectoderm: S-Skin of eyelids/appendages L-Lens L-Lacrimal gland E-Epithelium of cornea/conjunctiva Neuroectoderm: R-Retina O-Optic stalk/optic nerve M-Muscles of iris(sphincter and dilator pupillae) E-Epithelium of iris/ciliary body secondary/tertiary vitreous Neural crest: Neural- optic nerve coverings myelin sheath(by oligodendrocytes) ciliary ganglion melanocytes Mesenchymal- cornea (except epithelium of cornea) sclera (except temporal sclera) orbital bones Trabecular meshwork Schlemms canal Ciliary body muscles Iris/ciliary body stroma Mesoderm; Temporal sclera Blood vessels Extraocular muscles Primary vitreous Ref: Human Embryology, Inderbir Singh, 10th edition, page no: 113